Acute renal failure results in:
1. Hyperkalemic alkalosis
2. Hypokalemic alkalosis
3. hyperkalemic acidosis
4. Hypokalemic acidosis

Correct answer: 3. hyperkalemic acidosis

Explanation: Ans.(c) Hyperkalemiac acidosisRef : Harrison 19th ed. /1808, 1810* Acute kidney injury will cause inability to excrete H+ and K+ both leading to hyperkalemic acidosis.* The acidosis seen is high anion gap metabolic acidosis.